Atropine is useful in organophosphate poisoning  because it:
1. Reactivates acetylcholinesterase
2. Competes with acetylcholine release
3. Binds with both nicotinic and muscarinic acetylcholine receptors
4. Is a competitive antagonist of acetylcholine

Correct answer: 4. Is a competitive antagonist of acetylcholine

Explanation: Atropine acts as an antagonist at muscarinic receptors. It has no activity on nicotinic receptors and does not interfere with the release of ACh.